The degradation of P53 through Ubiquitous - dependent proteolysis by the binding of high-risk HPV protein is
1. E6 and E7
2. E7
3. E6
4. E6, E7 and E8

Correct answer: 3. E6